RNA dependent DNA polymerase is found in:
1. Retrovirus
2. Rota-virus
3. Reo-virus
4. All of the above

Correct answer: 1. Retrovirus

Explanation: Ans. A. RetrovirusRetroviruses: -a. Positive stranded RNA virusesb. Have a diploid genomec. 100 nm in diameterd. Possess reverse transcriptase enzyme (RNA dependent DNA polymerase) as they replicate through a DNA intermediate.